A patient presented with sudden onset of floater & perception of falling of a curtain (veil) in front of the eye which one of the following is the most appropriate diagnosis –
1. Retinal detachment
2. Eale's disease
3. Vitreous hemorrhage
4. Glaucoma

Correct answer: 1. Retinal detachment

Explanation: Sudden onset of floaters with complain of curtain (veil) obscuring the field of vision is characteristic of rheugmatogenous retinal detachment.